True about Dressler'syndrome is all, except:
1. Occurs within hours after myocardial infarction
2. May be due to early use of anticoagulant
3. Chest pain is common
4. Responds well to salicylates

Correct answer: 1. Occurs within hours after myocardial infarction

Explanation: Ans. is 'a' Occurs within hours after myocardial infarction Delayed pericarditis occurring 2-3 weeks after myocardial infarction is known as Dresser's syndromeCorticosteroids, NSAIDS and anticoagulants precipitate it, so they are contraindicated.It responds well to salicylates.Don 't get confused, just keep in mind that Aspirin is the drug of choice, but other NSA1D's are contra indicated.Other important clinical features are :Common presentation is chest pain d/t pericarditis, fever and malaiseIncrease ESR.